Which of the following is a true cyst?
1. Aneurysmal bone cyst
2. Gingival cyst of the newborn
3. Haemorrhagic bone cyst
4. All of the above

Correct answer: 2. Gingival cyst of the newborn